All are true about Norwalk virus except -
1. Belongs to calciviridae
2. Cultivated in cell culture
3. Causes gasteroenteritis
4. Is a RNA virus

Correct answer: 2. Cultivated in cell culture

Explanation: Ans. is 'b' i.e., Cultivated in cell culture "Most calciviruses and astroviruses can be grown in cell culture, but the Norwalk viruses cannot"o Norwalk virus belongs to family calciviridae (RNA viruses) and genus Noroviruses.o Norwalk virus causes outbreast of gastroenteritis from a common source of contamination (water, shellfish, salad).